The process underflying differences in expression of a gene, according to which parent has transmitted, is called
1. Anticipation
2. Mosiacism
3. Non-penetrance
4. Genomic imprinting

Correct answer: 4. Genomic imprinting

Explanation: Genomic imprinting is an epigenetic phenomenon that causes genes to be expressed in a parent-of-origin-specific manner. Reference: GHAI Essential pediatrics, 8th edition